During Acute tonsillitis Pain in the ear is due to Involvement of
1. Trigeminal nerve
2. Facial nerve
3. Glossopharyngeal nerve
4. Vagus nerve

Correct answer: 3. Glossopharyngeal nerve

Explanation: Ref. Diseases of Ear, Nose and Throat. Pg 258
Below is a compiled pic of referred pain to ear